Breath sound audible for more than------- seconds on auscultation over the trachea during forced expiration denotes significant airway obstruction:
1. 2
2. 4
3. 6
4. 8

Correct answer: 3. 6

Explanation: If breath sounds are audible for more than 6 seconds over trachea it denotes significant airway obstruction.